Which of the following X-ray should be advised for age determination between 1-13 years of age -
1. Shoulder
2. Wrist
3. Elbow
4. Iliac bones

Correct answer: 2. Wrist

Explanation: Ans is 'b' i.e., Wrist Radiograph used to determine skeletal age o 3-9 months --> Shoulder o 1-13 years --> Hand and wrist o 12-14 years --> Elbow and hip